Most common malignancy in maxillary antrum is:
1. Mucoepidermoid Carcinoma
2. Adeno cystic Ca
3. Adenocarcinoma
4. Squamous cell Ca

Correct answer: 4. Squamous cell Ca

Explanation: More than 80% of the malignant tumors of paransal sinus and of nose are of squamous cell variety. Rest are Adenocarcinoma, Adenoid cystic carcinoma, Melanoma and various types of sarcomas. Maxillary sinus is the most frequently involved sinus. Other sites in decreasing order are nasal cavity, ethmoid sinuses, frontal and sphenoid sinus.